Overall most common cause of acute glomerulonephritis in young children?
1. Post-Streptococcal GN
2. Idiopathic RPGN
3. IgA nephropathy
4. Membranous GN

Correct answer: 1. Post-Streptococcal GN

Explanation: Ans. A. Poststreptococcal GNWorldwide, the most common type of glomerulonephritis is IgA nephropathy. It is also the most common cause of chronic glomerulonephritis in children. However, it is more commonly seen in the adolescents (peak age of occurrence being 10-20 years). In contrast, poststreptococcal GN is most common type of acute glomerulonephritis in children, its peak age of occurrence being 5-12 years of age.